In infant most sensitive audiometric screening is
1. Electrocochleography
2. BERA
3. Cortical evoked response
4. Tympanometry

Correct answer: 2. BERA

Explanation: Used as a screening procedure for infants. Other uses of ABR: To determine the threshold of hearing in infants; also in children and adults who do not cooperate and in malingerers. To diagnose retrocochlear pathology particularly acoustic neuroma. To diagnose brainstem pathology, e.g. multiple sclerosis or pontine tumours. To monitor CN VIII intraoperatively in surgery of acoustic neuromas to preserve the function of the cochlea. Ref: Dhingra; 6th Edition; pg no 27